When the pH of a solution of a weak acid, HA, is equal to the pKa, the ratio of the concentrations of the salt and the acid (/) is which one of the following?
1. 0
2. 1
3. 2
4. 3

Correct answer: 2. 1

Explanation: The pKa is the pH at which the functional group is 50% dissociated, which in this case is the pH at which = The Henderson-Hasselbalch equation, pH=pKa +log10/, gives the relationship between these parameters. If pH=pKa , log10/=0,and/=1